Which is autosomal dominant disease?
1. Wilson's disease
2. Hemochromatosis
3. MEN 2
4. All of the above

Correct answer: 3. MEN 2